What is the dose of vitamin A at 9 months -
1. 50000 IU
2. 1 Lakh IU
3. 2Lakh IU
4. 4 lakh IU

Correct answer: 2. 1 Lakh IU

Explanation: Ans. is 'b' i.e., 1 Lakh IU Requirement and doseso The daily requirement of vitamin A for infant is 300-400 pg, children is 400-600 mg and adolescents is 750 mg.o For treatment of vitamin A deficiency, oral vitamin A is given at a dose of 50000 IU, 100000 IU and 200000 IU in children < 6 months, 6-12 months and > 1 year, respectively. The same dose is repeated next day and 4 weeks later.o For prevention (vitamin-A prophylaxis programme) a total of 9 doses of vitamin-A are given between the age of 9 months to 5 years. The first dose (1 lakh units) is given at 9 months of age along with measles vaccination. The second dose (2 lakh units) is given along with DPT/OPV booster doses (at 18 months). Subsequent doses (2 lakh units each) are given at six months interval upto 5 years age.